Normal CSF pressure is -
1. 110-180 mm CSF
2. 180-300 mm
3. 200-400mm
4. 5-10 mm

Correct answer: 1. 110-180 mm CSF